Worth's four dot test is done for assessing:
1. Cornea
2. IOP
3. Refractive errors
4. Binocular vision

Correct answer: 4. Binocular vision

Explanation: For this test, patient wears goggles with red lens in front of the right and green lens in front of the left eye and views a box withfour lights--one red, two green and one white. Intrerpretation- In normal binocular single vision, the patient seesall the four lights in the absence of manifest squint In abnormal retinal correspondence (ARC) patientsees four lights even in the presence of a manifestsquint * In left suppression the patient sees only two redlights, In right suppression the patient sees only threegreen lights In alternating suppression the patient sees threegreen lights and two red lights Note-SuppressionIt is a temporary active cortical inhibition of the image of an object formed on the retina of the squinting eye. This occurs only during binocular vision (with both eyes open). when the fixating eye is covered, the squinting eye fixes (i.e., suppression disappears)